Intravenous anaesthetics are all except.
1. Propofol
2. Opioids
3. Ketamine
4. Desflurane

Correct answer: 4. Desflurane

Explanation: Intravenous anesthetics are barbiturates - Thiopentone sodium, methohexitone Non-Barbiturates - Propofol, Ketamine, Etomidate, Opioids. Inhalational anesthetics are halothane, isoflurane, desflurane, sevoflurane.